Which of the following is widely used in the management of carcinoma breast ?
1. Actinomycin–D
2. Bleomycin
3. Doxorubicin
4. Dacarbazine

Correct answer: 3. Doxorubicin